Following is least common about angiodysplasia of colon:
1. Involvement of cecum
2. Involvement of rectum in 50% of cases
3. Affecting age group >40 years
4. Cause of troublesome lower GI hemorrhage

Correct answer: 2. Involvement of rectum in 50% of cases

Explanation: Ans. (b) Involvement of rectum in 50% cases* Angiodysplasia is rare in rectum* Causes troublesome intermittent lower GI bleeding. Very difficult to diagnose